Method used for acid fast staining -
1. Robertson's method
2. Ziehl Neelsen
3. Silver imprignation method
4. Dark ground illumination

Correct answer: 2. Ziehl Neelsen

Explanation: Ans. is 'b' i.e., Ziehl Neelsen Acid fast stainingo After staining with aniline dye, acid fast organisms resist decolourisation with acids,o Method most commonly used is modified Ziehl Neelsen.Smear stained by carbolfuschin|Decolourization by 20% sulphuric acid|Counterstaining by methylene blueAcid fast organismsNon acid fast organismsRetain fiischin (red colour)Take colour of methylene blue (blue colour)Acid fastness depends uponMycolic acid Integrity of cell wall